Calculate the silverman score for a neonate with paradoxical breathing, mild lower chest retraction, marked xiphoid retraction, minimal nasal flare and expiratory grunt audible without stethoscope
1. 6
2. 7
3. 8
4. 9

Correct answer: 3. 8

Explanation: Score for Paradoxical breathing
2


Mild lower chest retraction
1


Marked xiphoid retraction
2


Minimal nasal flare
1


Expiratory grunt audible without stethoscope
2


Total score
8